Pegvisomant is approved for the treatment of?
1. Parkinsonism
2. Hyperprolactinemia
3. Amenorrhoea
4. Acromegaly

Correct answer: 4. Acromegaly

Explanation: Pegvisomant is a mutant growth hormone. It is used for the treatment of acromegaly caused by small pituitary adenoma. Ref: Sharma and Sharma 2nd e/pg 547